Apple jelly nodules on the nasal septum are found in case of
1. Tuberculosis
2. Lupus Vulgaris
3. Syphilis
4. Rhinoscleroma

Correct answer: 2. Lupus Vulgaris

Explanation: Lupus vulgaris is a low-grade tuberculous infection commonly affecting nasal vestibule or the skin of nose and face. 
The skin lesions manifest characteristically as brown, gelatinous nodules called "apple -jelly" nodules. 
In the vestibule, it presents as chronic vestibulitis. 
Perforation may occur in the cartilaginous part of the nasal septum. Treatment is same as for tuberculosis.